A previously healthy eight year old boy presented to the emergency department with high grade fever, arthralgia, pruritic erythematous rash and lymphadenopathy. He has completed 8 days out of a 10 day course of cefaclor for an upper respiratory tract infection. Which of the following is the most likely diagnosis
1. Kawasaki Disease
2. Type III Hypersensitivity Reaction
3. Serum sickness Like Illness (SSLI)
4. Henoch schonlein purpura

Correct answer: 3. Serum sickness Like Illness (SSLI)

Explanation: Ans. is 'c' i.e., Serum sickness Like Illness SSLI occurs from an abnormal inflammatory reaction that occurs in response to defective metabolism of drug by products generated during pharmacotherapy. Therefore, it is also called serum sickenss like drug reaction (SSLDR). SSLDR is must commonly seen after exposure to cefclor, but other drugs including penicillins, tetracyclines, ciprofloxacin, NSAIDs, sulfonamides, barbiturates, carbamazepine, propranolol, thiouracil and allopurinol, have also been implicated.